Papilledema is caused by:
1. Vitamin A intoxication
2. Vitamin D intoxication
3. Vitamin E intoxication
4. Vitamin B intoxication

Correct answer: 1. Vitamin A intoxication

Explanation: (Vitamin A): Ref: (532-Park 20th) Vitamin A intoxicationAcute toxicity: - Increased intracranial pressure vertigo, diplopia, buldging frontanels in children, seizures, and exfoliative dermatitisChronic toxicity: - Dry skin, cheilosis, glossitis, vomiting, alopecia, bone pain hypercalcemia, lymph node enlargement, hyperlipidemia, amenorrhea, features of pseudo tumour cerebri with increased intracranial pressure and papilledema* Liver fibrosis with portal hypertension and bone demineralization may also results Pregnancy: - Spontaneous abortion, craniofacial abnormalities, and valvular heart disease Vitamin E intoxication: - wt. E (> 800 mg/day) may reduce platelet aggregation and with vitamin K metabolism and therefore contraindicated in patients taking Warfarin* Nausea, flatulence and diarrhea have been reported at doses > 1 gm/day Vitamin C intoxication: -* (> 3 gm) elevated blood levels of ALT, lactic acid dehydrogenase and uric acid* Increased prevelance of kidney stones (Preexisting renal disease)* Promote iron overload in patients taking supplemental iron* Hemolysis in patients with G-6PD deficiency Vitamin K Intoxication: -* Hemolytic anemia and hypobilirubinemia in infants* Impair the action of oral anticoagulants.